Reiter's syndrome is due to -
1. Chlamydia
2. Nisseria
3. Myoplasma
4. Herpes virus

Correct answer: 1. Chlamydia

Explanation: Ans. is 'a' i.e., Chlamydia . Reiter syndrome is caused by --> Chlamydia trachomatis ureaplasma urelyticum, Salmonella Spp., Shigella spp., Yersinia spp., Campylobactor Spp.